Increased amylase may be seen in all of the following except:
1. Pancreatic pseudocyst
2. Appendicitis
3. Perforated peptic ulcer
4. Ruptured ectopic pregnancy

Correct answer: 2. Appendicitis

Explanation: Answer is B (Appendicitis) Appendicitis alone does not cause increased amylase. Perforated appendix, may be associated with increased amylase. Causes of Hyperamvlasemia and Hyperamylasuria: Pancreatiti Disease Non Pancreatic Disorders Other Abdominal Disorders I. Pancreatitis A. Acute I. Renal insufficiency II. Salivary gland lesions I. Biliary tract disease : cholecystitis, choledocholithiasis B. Chronic : ductal obstruction A. Mumps II. Intraabdominal disease C. Complications of pancreatitis B. Calculus A. Perforated or penetrating peptic I. Pancreatic pseudocyst C. Irradiation sialadenitis ulcer 2. Pancreatogenous ascites D. Maxillofacial surgery B. Interstitial obstruction or 3. Pancreatic abscess III. Tumor hypermamylasemia infarction 4. Pancreatic necrosis A. Carcinoma of the lung C. Ruptured ectopic pregnancy II. Pancreatic trauma B. Carcinoma of the esophagus D. Peritonitis III. Pancreatic carcinoma C. Breast carcinoma, ovarian carcinoma E. Aortic aneurysm IV. Macroamylasemia F. Chronic liver disease V. Burns G. Postoperative hyperamylasemia VI. Diabetic ketoacidosis VII. Pregnancy VIII. Renal transplantation IX. Cerebral trauma X. Drugs : morphine